Beta blockers are antiarrhythmic agents of class
1. 1
2. 11
3. 111
4. 1V

Correct answer: 2. 11

Explanation: Refer kDT 6/e p 511 The five main classes in the Vaughan Williams classification of antiarrhythmic agents are: Class I agents interfere with the sodium (Na+) channel. Class II agents are anti-sympathetic nervous system agents. ... Class III agents affect potassium (K+) efflux. Class IV agents affect calcium channels and the AV node.